In Keratoconus, all are seen except:
1. Munson's sign
2. Thinning of cornea in center
3. Distortion of corneal reflex at center
4. Hypermetropic refractive error fond

Correct answer: 4. Hypermetropic refractive error fond

Explanation: D i.e. Hypermetropic refractory error found